Isoniazid induced peripheral neuropathy responds to administrations of :
1. Pyridoxine
2. Riboflavin
3. Thiamine
4. Cobalamin

Correct answer: 1. Pyridoxine